Blood supply of the majority of femoral head is by-
1. Medial circumflex femoral artery
2. Lateral circumflex femoral artery
3. Obdurator artery
4. Lateral genicular artery

Correct answer: 1. Medial circumflex femoral artery

Explanation: Ans. is 'a' i.e., Medial circumflex femoral artery * Femoral head is supplied by1) Medial circumflex femoral artery# It is the major blood supply of femoral head and supplies the femoral head through following branchesi) Lateral (superior) retinacular artery : also called lateral ascending cervical artery and is the major blood supply of femoral head. It is involved in AVN of head most of the time.ii) Medial (inferior) retinacular arteryiii) Posterior retinacular artery2) Lateral circumflex femoral artery# It supplies through anterior retinacular artery.3) Obturator artery# It is a minor supply and supplies through artery ofligamentum teres (medial epiphyseal artery).4) Intramedullary vessel in the femoral neck.